A patient with cancer received extreme degree of radiation toxicity. Further history revealed that the dose adjustment of a particular drug was missed during the course of radiotherapy. Which of the following drugs required a dose adjustment in that patient during radiotherapy in order to prevent radiation toxicity –
1. Vincristine
2. Dactinomycin
3. Cyclophosphamide
4. 6 – Mercaptopurine

Correct answer: 2. Dactinomycin

Explanation: Actinomycin - D (Dactinomycin) is well is well known radiosensitizer. So its dose should be reduced during radiotherapy to prevent radiation toxicity.